Primary group of Lymph nodes affected in cervical carcinoma:
1. Common iliac group
2. Inguinal nodes
3. Obturator nodes
4. Para-aortic nodes

Correct answer: 3. Obturator nodes

Explanation: Cancer of cervix starts with Cervix and uterus which first goes to Obturator nodes - Internal iliac nodes. Major groups of lymph nodes draining the cervix are Obturator Internal iliac External iliac Common iliac Para aortic Cervix doesn't drain into Inguinal group of Lymph nodes.